All of the following are decreased in nephrotic syndrome, except ?
1. Serum transferrin
2. Serum fibrinogen
3. Serum ceruloplasmin
4. Serum albumin

Correct answer: 2. Serum fibrinogen

Explanation: Ans. is 'b' i.e., Serum Fibrinogen Fibrinogen level is increased in nephrotic syndrome d/t increased hepatic synthesis of fibrinogen. The largest proportion of protein lost in urine is albumin. Sometimes, globulins can also be excreted - - Immunoglobulin excretion increases the susceptibility of infection. Other proteins which are decreased - Transferrin - Microcytic hypochromic anemia. Cholecalciferol binding protein - hypocalcemia Thyroxine binding globulin - decreased thyroxine level. Antithrombin III - hypercoagulability Ceruloplasmin Causes of Hvpercoagulability in nephrotic syndrome Loss of antithrombin III Increased synthesis of fibrinogen by liver. Altered activity of protein C and S Increased platelet aggregability. Hypercoagulability can cause renal vein thrombosis.